Vibratory sensation depends on the detection of rapidly changing, repetitive sensations. The high-frequency end of the repetitive stimulation scale is detected by which structure?
1. Merkel discs
2. Meissner corpuscles
3. Pacinian corpuscles
4. Free nerve endings

Correct answer: 3. Pacinian corpuscles

Explanation: High-frequency repetitive stimulation (indentation/ pressure) of the skin is sensed by Pacinian corpuscles. Free nerve endings detect touch and pressure. Meissner's corpusclesrespond to changes in texture and slow vibration. Merkel cells respond to sustained pressure and touch. Ruffini corpuscles respond to sustained pressure.